A white soft sticky deposit on tooth surface
1. Materia alba
2. Linea alba
3. Plaque
4. Calculus

Correct answer: 1. Materia alba